Branches of brachial artery are all EXCEPT:-
1. Profunda brachii
2. Superior ulnar collateral
3. Inferior ulnar collateral
4. Radial collateral

Correct answer: 4. Radial collateral

Explanation: Radial collateral artery is anterior descending branch of the profunda brachii artery, not a direct branch of brachial artery.